Breastfeeding is contraindicated in
1. Galactosemia
2. Tuberculosis history
3. Hepatitis B positive mother
4. Low birth weight infant

Correct answer: 1. Galactosemia

Explanation: Contraindications of breastfeedingGalactosemiaActive untreated tuberculosis-only in the initial periodHIV positive mother-especially in a developed country; In India its not contraindicatedSome medication(Refer: Nelson's Textbook of Pediatrics, SAE, 1st edition, pg no. 287)